A night shift worker complains of profuse Rhinorrhea and Sneezing for the past few days . Which among the following drug can be given to him ?
1. Promethazine
2. Fexofenadine
3. Chlorpheniramine
4. Pheniramine

Correct answer: 2. Fexofenadine

Explanation: 1st generation anti histamines 2nd generation anti histamines 1. Chlorphenaramine 2. Promethazine 3. Diphenhydramine 4. Cyclizine 5. Meclizine 6. phenaramine 1. Terfenadine 2. Fexofenadine 3. levocetrizine 4. Loratidine Note : All the 1st generation drugs can cross BBB and produce CNS actions so all 1st generation antihistamines can cause sedation. so 2nd generation antihistamines are given in this patients.